Peyronie's disease is
1. Bowing of penis
2. Ectopic opening of urethra
3. Curved deformity of erect penis due to fibrous plaque
4. Absent glans penis

Correct answer: 3. Curved deformity of erect penis due to fibrous plaque

Explanation: Ans. c (Curved deformity of erect penis due to fibrous plaque) (Ref. Bailey and Love 25th/pg. 1373)PEYRONIE'S DISEASE (Penile thickening and curvature)# Peyronie's disease is a relatively common cause of deformity of the erect penis.# On examination, hard plaques of fibrosis can usually be palpated in the tunica of one or both corpora cavernosa. The plaques may be calcified.# The presence of the unyielding plaque tissue within the normally elastic wall of the corpus cavemosum causes the erect penis to bend, often dramatically, towards the side of the plaque.# The aetiology is uncertain but it may be a result of past trauma - there is an association with Dupuytren's contracture.- Rx:# Typically self-limiting disease.# Surgery (Nesbitt's operation) may be indicated to correct deformity that interferes with sexual dysfunction# Nesbitt's operation is straightening of penis by placing non-absorbable sutures in corpus cavernosum opposite the plaque.